Vicryl, the commonly used suture material is a:
1. Homopolymer of polydioxanone
2. Co-polymer of glycolide and lactide
3. Homopolymer of glycolide
4. Homopolymer of lactide

Correct answer: 2. Co-polymer of glycolide and lactide

Explanation: - Vicryl - copolymer of glycolide and lactide - Work horse suture of general surgeon - Delayed absorbable suture (60-90 days)